shifting fluid sign is seen in ?
1. Exudative Retinal detachment
2. Traumatic Retinal detachment
3. Rhegmatogensus Retinal detachment
4. Retinal dialysis

Correct answer: 1. Exudative Retinal detachment

Explanation: Exudative R D: increased fluid from choroid outer barrier break by inflammation fluid shift sign present ref : ak khurana 7th ed